At which age does an infant hold its head steady when pulled to sit, without bobbing motion, and laugh and loud?
1. 2 months
2. 4 months
3. 5 months
4. 6 months

Correct answer: 2. 4 months

Explanation: At 3 months, head lag is partially compensated but still present; the infant attains early head control with bobbing motion and sits with back rounded. At 4 months, there is no head lag when pulled to sit and the infant sits with full truncal support. Ref: Nelson textbook of pediatrics 21st edition Pgno: 132